The use of 5% dextrose as an intravenous resuscitation fluid can
1. Improve cerebral perfusion
2. Provide glucose substrate for cerebral metabolism
3. Reduce intracranial pressure and cause lacity of brain
4. Reduce serum osmalality and cause brain edema

Correct answer: 4. Reduce serum osmalality and cause brain edema

Explanation: 5% dextrose is a free water solution. Dextrose gets metabolised and plasma osmolality is decreased. This increases the brain oedema in head injury and hence should be avoided.